Which of the folio wing is not a pox virus-
1. Cow pox
2. Molluscum contagiosum
3. Smallpox
4. Chicken pox

Correct answer: 4. Chicken pox

Explanation: Ans. is 'd' i.e., Chicken pox fRef: Ananthnaravan 9th/e p. 461 & 8th/e p. 4611Poxviruses causing disease in humanso Variola (small pox )o Vacciniao ButTalopoxo Monkeypoxo Cowpoxo Orfo Molluscum contagiosumo Tanapoxo Chicken pox is caused by varicella - zoster virus, which is a herpes virus.